Floatation of a body in water is due to :
1. Flesh being eaten by fishes
2. Presence of gases
3. Water logging of body
4. All of the above

Correct answer: 2. Presence of gases

Explanation: B i.e. Presence of gasses